All are cluster B personality disorders except?
1. Antisocial
2. Narcissistic
3. Avoidant
4. Borderline

Correct answer: 3. Avoidant

Explanation: Ans. is 'c' i.e., Avoidant Personality disorders1. Clustor A (Odd. and Eccentric): Paranoid, Schizoid, Schizotypal.2. Clustor B (Dramatic, Emotional and Erratic) : Antisocial (Dissocial), Flistrionic, Narcissistic, Borderline.3. Clustor C (Anxious and fearful): Anxious (avoidant), Dependent, obsessive - compulsive (anankastic).